Which of the following statement regarding plummer Vinson syndorme is not true-
1. It is otherwise known as Patterson-Brownkelly disease
2. Iron deficiency anaemia is probably the basic cause
3. It occurs exclusively in men
4. All

Correct answer: 3. It occurs exclusively in men

Explanation: Ans. is 'c' i.e., It occurs exclusively in men